Asynchronous cadioversion is given in:
1. AF
2. Ventricular fibrillation
3. Atrial flutter
4. Ventricular tachycardia

Correct answer: 2. Ventricular fibrillation

Explanation: Answer is B (Ventricular fibrillation) Asynchronous cardioversion is ito ino.st reliable method for terminating V.F. Electrical cardioversion and defibrillation are the most reliable methods for termination of arrhythmias. These methods depolarize all or at least a large portion of excitable myocardium in a near homogenous fashion. Thereby interrupting reequitant rhythms.